Pulmonary compliance is decreased in all of the following conditions, except
1. Pulmonary Congestion
2. COPD
3. Decreased Surfactant
4. Pulmonary Fibrosis

Correct answer: 2. COPD

Explanation: Pulmonary compliance is increased in emphysema (a type of chronic obstructive pulmonary disease). In the other 3 conditions (Decreased surfactant production, Pulmonary congestion, and Pulmonary fibrosis), the pulmonary compliance is decreased. Ref: guyton and hall textbook of medical physiology 12 edition page number:318,319,320